A 30-year-old male suffered a Superior Gluteal Nerve injury in a motorcycle crash in which his right lower limb was caught beneath the bike. He is stabilized in the emergency department. Later he is examined and he exhibits a waddling gait and a positive Trendelenburg sign. Which of the following would be the most likely physical finding in this patient?
1. Difficulty in standing from a sitting position
2. The left side of the pelvis droops or sags when he attempts to stand with his weight supported just by the right lower limb.
3. The right side of the pelvis droops or sags when he attempts to stand with his weight supported just by the left lower limb.
4. Weakened flexion of the right hip

Correct answer: 2. The left side of the pelvis droops or sags when he attempts to stand with his weight supported just by the right lower limb.

Explanation: Injury to the Superior Gluteal Nerve results in a characteristic motor loss, with paralysis of Gluteus Medius and Minimus. When the patient is asked to stand on the limb of the injured side, the pelvis descends on the opposite side, indicating a positive Trendelenburg test. The gluteal or lurching gait that results from this injury is characterized by the pelvis drooping to the unaffected side when the opposite leg is raised. In stepping forward, the affected individual leans over the injured side when lifting the good limb off the ground. The uninjured limb is then swung forward. Injury to the rightsuperior gluteal nerve would result in sagging of the leftside of the pelvis when the affected individual stands on the right limb. fig:-trendelenburg test